Agnosia is caused by lesion in:
1. Parietal lobe
2. Occipital lobe
3. Frontal lobe
4. None of the above

Correct answer: 1. Parietal lobe

Explanation: Agnosia is the general term used for the inability to recognize objects by a particular sensory modality even though the sensory modality itself is intact. Lesions producing these defects are generally in the parietal lobe. Ref: Ganong's Review of Medical Physiology 23rd edition, Chapter 19.